Which of the following is not capsulated ?
1. Pneumococcus
2. Cryptococcus
3. Meningococcus
4. Proteus

Correct answer: 4. Proteus

Explanation: Ans. is 'd' i.e., Proteus Capsule Many bacteria secrete a viscid material around the cell surface. When this is organized into a sharply defined structure, it is known as capsule. Capsules are protective and protect the bacteria from phagocytosis and from lytic enzymes. Some bacteria loose their capsules on repeated subcultures. Capsulated organisms Pneumococcus Yersinia Bacillus anthrax V. parahemolyticus Bordetella H. influenzae Meningococci Fresh strains of staphylococci, streptococci and 'E coli. Cl. perfringens and Cl. butyric= Bacteroides Klebsiella Cryptococcus.